Low birth weight babies are at a higher risk of dying in the firstweek because
1. Congenital anomaly,birth injury,infections
2. Birth injury,convulsions,asphyxia
3. Convulsions,congenital anomaly,hypothermia
4. Hypothermia,asphyxia,infections

Correct answer: 4. Hypothermia,asphyxia,infections

Explanation: Ref:Park's Text book of Preventive and Social Medicine 25th ed